Neisseria Meningitidis bacteria harbour normally
1. Skin
2. Genitals
3. Nasopharynx
4. Lower GIT

Correct answer: 3. Nasopharynx

Explanation: • N. Meningococci are capsulated Gram-negative diplococci
• Reservoir for N. Meningitidis- human nasopharynx is the only reservoir of meningococcus. (N.meningitidis)
• Most important source- carriers are the most imp source, not clinical cases.
• They are arranged in pairs with adjacent sides flattened --7 half moon shaped.
• Transport medium --7 Stuart's medium. 
• Blood agar, chocolate agar and Mueller - Hinton agar is the media commonly used for culturing meningococci.
• Age group- 3 month-5 years 
• Serotype- total 13, out of which serotype A, B, C are most important
■ Serotype A- Epidemics
■ Serotype B- Both epidemic and local outbreaks
■ Serotype C- Local outbreaks 
• Chemoprophylaxis has been suggested for close contacts.
• RIFAMPICIN is DOC for prophylaxis